Di collar or grease collar is seen in:
1. Punctured wound by sharp weapon
2. Lacerated wound
3. Firearm entry wound
4. Stab wound

Correct answer: 3. Firearm entry wound

Explanation: Ans. Firearm entry wound